Of the following groups of amino acids produce common component of the TCA cycle is:
1. Alaine, isoleucine, leucine, lysine
2. Serine, asparagines, glycine, glutamate
3. Isoleucine, valine, methionine
4. Prolone, leucine, tryptophan

Correct answer: 3. Isoleucine, valine, methionine

Explanation: C i.e. Isoleucine, Valine, methionine Valine, Isoleucine and MethionineQ produce succinyl COA which is an important component of TCA cycle.